C02 is primarily transported in the arterial blood as:
1. Dissolved C02
2. Carbonic Acid
3. Carbamino-hemoglobin
4. Bicarbonate

Correct answer: 4. Bicarbonate

Explanation: Transport of carbon dioxide in the form of bicarbonate ions accounts for approximately 70% of the carbon dioxide transported from the tissues to the lungs. Thus this is by far the most important of all methods of transport. Ref: Textbook of Medical Physiology By Guyton, 10th Edition, Page 471